Tramadol is
1. Antiflatulent
2. Antireflux drug
3. Beta-blocker
4. Opioid analgesic

Correct answer: 4. Opioid analgesic

Explanation: Ans. d (Opioid analgesic). (Ref. KD Tripathi, Pharmacology/6th. 453)# Tramadol is synthetic centrally acting opioid analgesic having modest affinity for ji receptors.# Unlike other opioids, it inhibits reuptake of NA and 5-HT and thus activates monoaminergic spinal inhibition of pain.# Its oral bioavailability is good and it has minimal hemodynamic effects and hence safer in patients with compromised CVS function.# It is indicated for medium intensity short lasting pain due to diagnostic procedures, injury, surgery, etc as well as for chronic cancer pain.